A 9-year-old girl is diagnosed with acute rheumatic fever. Instead of recovering as expected, her condition worsens and she dies. Which of the following is the most likely cause of death?
1. Central nervous system involvement
2. Endocarditis
3. Myocarditis
4. Streptococcal sepsis

Correct answer: 3. Myocarditis

Explanation: The most common cause of death that occurs during acute rheumatic fever is cardiac failure secondary to myocarditis.